The pivot test is for
1. Anterior cruciate ligament
2. Posterior cruciate ligament
3. Medial meniscus
4. Lateral meniscus

Correct answer: 1. Anterior cruciate ligament

Explanation: A i.e. Anterior cruciate